Verrucuous carcinoma is
1. Extremely well differentiated squamous cell carcinoma
2. Poorly differentiated squamous cell carcinoma
3. Adenosquamous carcinoma
4. Adenocarcinoma

Correct answer: 1. Extremely well differentiated squamous cell carcinoma

Explanation: Verrucous carcinoma (also known as Ackerman tumor) is an uncommon exophytic low-grade well-differentiated variant of squamous cell carcinoma. This neoplasm typically involves the oral cavity, larynx, genitalia, skin, and esophagus Refer robbins 9/e